Conditions associated with incoagulable state ?
1. Abruption placentae
2. Acute promyelocytic leukaemia
3. Severe falciparum malaria
4. All

Correct answer: 4. All

Explanation: Ans. is 'a' i.e., Abruption placentae; 'b' i.e., Acute pro-myelocytic leukemia; 'c' i.e., Severe falciparum malaria o DIC is an incoagulable condition. The major causes are : Obstetrics complications Abruptio placenta Retained dead fetus o Septic abortion Amniotic fluid embolism o Toxemia Massive tissue injury Traumatic Burns Extensive surgery Gram negative sepsis Meningococcemia Histoplasmosis Aspergillosis Malaria Toxemia Miscellaneous Acute intravascular haemolysis Snake bite Shock Heat stroke Vasculitis Aortic aneurysm Liver disease Ca pancreas Ca prostate Ca lung Ca stomach Acute promyelocytic leukaemia